The term "id" in the structural model of the mind refers to
1. Emotional part of mind
2. Rational part of mind
3. Moral part of mind
4. Conscience part of mind

Correct answer: 1. Emotional part of mind

Explanation: sigmund Freud was a pioneer in psychiatry he introduced the new school called PSYCHOANALYSIS he introduced the TOPOGRAPHICAL THEORY OF MIND he gave the concept of structural theory of mind he gave the concept of interpretation of dreams Reference: Kaplon and sadock, 11 th edition, synopsis of psychiatry, 11 th edition, pg no. 447